Safe injection practices can prevent:
1. Hepatitis B
2. Hepatitis A
3. Typhoid
4. Hepatitis E

Correct answer: 1. Hepatitis B

Explanation: Ans: a (Hepatitis B)Ref: Park, 20th ed. Pg. 188Again a repeat question from 2008 Kerala, regarded as a zero value question and will gain significance when you make it wrong.